Interferon-gamma release assays used to diagnose tuberculosis is :
1. T-SPOT.TB
2. B-SPOT.TB
3. NIGRAs
4. C-SPOT.TB

Correct answer: 1. T-SPOT.TB

Explanation: Two in vitro assays that measure T cell release of IFN with the highly TB-specific antigens ESAT-6 and CFP-10 are available. The T-SPOT.TB is an enzyme-linked immunospot (ELISpot) assay, and the QuantiFERON-TB Gold.